All are ketogenic & glucogenic amino acids except
1. Tyrosine
2. Isoleucine
3. Phenyalanine
4. Serine

Correct answer: 4. Serine

Explanation: Serine is a glucogenic amino acid.Ref: DM Vasudevan - Textbook of Biochemistry, 7th edition, page no: 245.fig 18.16.